Kwashiorkor is diagnosed in growth-retarded children along with ________
1. Edema and mental changes
2. Hypopigmentation and anemia
3. Edema and hypopigmentation
4. Hepatomegaly and good appetite

Correct answer: 1. Edema and mental changes

Explanation: Kwashiorkor children have pitting edema, usually starting in the legs and feet and spreading, in more advanced cases to hands and face.The mental changes include unhappiness, apathy, or irritability with sad, intermittent cry. They show no signs of hunger and is difficult to feed them.There will be hyperpigmentation. Ref: Page 67; Ghai Essential Pediatrics; 7th edition